In Wilson's disease copper deposition occurs in -
1. Pons
2. Medulla
3. Cerebellum
4. Basal ganglia

Correct answer: 4. Basal ganglia